Which of the following is a serious adverse effect seen with zolendronate?
1. Acute renal failure
2. Ventricular fibrillation
3. Peptic ulcer
4. Anterior uveitis

Correct answer: 1. Acute renal failure

Explanation: ADRS of bisphosphonates: gastric ulcer, renal failure, flu like syndrome, GERD, osteonecrosis of jaw Zolendronate is a Bishosphonate. (REF.Essential of medical pharmacology K D TRIPATHI 6 Edition, Page No - 335)